"Humanity has hut three great enemies: fever; famine and war; of these by far the greatest, by far the most terrible, is fever.99 It is a saying of
1. Sir William Osier
2. William Harvey
3. Ronald Ross
4. Joseph Lister

Correct answer: 1. Sir William Osier

Explanation: (A) Sir William Osier